HypertriglyceridemiaFor the above dyslipidemias, select the most characteristic finding.
1. palmar plane xanthomas
2. triglycerides > 1000
3. subcutaneous extensor tendon xanthomas
4. low serum cholesterol

Correct answer: 2. triglycerides > 1000

Explanation: Hypertriglyceridemia is usually secondary to diabetes mellitus (DM) or drugs, rather than a genetic disorder. It can be a normal response to caloric excess or alcohol ingestion and is common in the third trimester of pregnancy.